Occurence of disease in excess of expected frequency is known as
1. Endemic disease
2. Epidemic disease
3. Ecdemic disease
4. Sporadic

Correct answer: 2. Epidemic disease

Explanation: Endemic: refers to the constant presence of a disease or infectious agent within a given geographic area or population group without importation from outside. Exotic: diseases which are imported into a country in which they do not otherwise occur as for example rabies in the UK . Epizootic: an outbreak of the disease in an animal population. Ref: 25th edition, Park's Textbook of Preventive and Social Medicine, Page no. 101